Galeazzi fracture is fracture of:
1. Upper end of ulna
2. Lower end of ulna
3. Upper end of radius
4. Lower end of radius

Correct answer: 4. Lower end of radius

Explanation: D i.e. Lower end of radius